Which among the following is a cardio-protective fatty acid?
1. Palmitic acid
2. Stearic acid
3. Omega-3 fatty acids
4. Oleic acid

Correct answer: 3. Omega-3 fatty acids

Explanation: Omega-3 fatty acids reduce the incidence of CHD.